Which of the following eating disorder is most common?
1. Anorexia nervosa
2. Bulimia Nervosa
3. Binge eating disorder
4. All have same prevalence

Correct answer: 3. Binge eating disorder

Explanation: Binge eating disorder is the most common eating disorder followed by Bulimia nervosa and Anorexia nervosa.